Feaures of medullary carcinoma thyroid:
1. Arises from parafollicular cells
2. Amyloid stroma is present on histology
3. Diarrhea occurs
4. All

Correct answer: 4. All

Explanation: Ans is All "Some tumours are familial, possibly accounting for 10-20% of all cases."- Bailey Total Thyroidectomy is the treatment of choice for patients with MTC because of high incidence of multicentricity, the more aggressive course and RAI therapy usually being not effective.